All of the following are features of central retinal artery occlusion except:
1. Marked narrowing of retinal arterioles
2. 'Cherry red spot' at macula
3. Retinal oedema
4. Multiple superficial haemorrhages

Correct answer: 4. Multiple superficial haemorrhages

Explanation: Ans. Multiple superficial haemorrhages